An anganwadi worker is trained for-
1. 3 months
2. 4 months
3. 5 months
4. 6 months

Correct answer: 2. 4 months

Explanation: Ans. is 'b' i.e.. 4 months